Laxative abuse is associated with:
1. Hypokalemia
2. Hypomagnesemia
3. Hypoglycemia
4. Colonic spacticity

Correct answer: 1. Hypokalemia

Explanation: Some individuals are obsessed with using purgatives regularly.This may be reflection of a psychological problem. Dangers of laxative abuse are: 1.flairing of intestinal pathology,rupture of inflammes appendix 2.fluid and electrolyte imbalance,especially hypokalemia 3.steatorrhoea,malabsorption syndrome 4.protein losing enteropathy 5.spastic colitis ESSENTIALS OF MEDICAL PHARMACOLOGY 6TH EDITION KD TRIPATHI PAGE NO:656